Alkaline phosphatase is found in all organs,except -a) Boneb) Heartc) Placentad) Lungs
1. c
2. bd
3. ab
4. ac

Correct answer: 2. bd